Which of the following flavivirus is closely related to Russian spring summer encephalitis causing virus -
1. Dengue
2. Chickengunya
3. KFD
4. West Nile fever

Correct answer: 3. KFD

Explanation: A new arbovirus antigenically related to the RSS complex was isolated by investigators from the national institute of virology Pune from the patients and dead monkeys. It was named the KFD virus. REF:ANANTHANARAYAN AND PANIKER'S TEXTBOOK OF MICROBIOLOGY 9TH EDITION PAGE NO:524